Source of ammonia in urine
1. Glutaminase
2. Urease
3. Glutamate dehydrogenase
4. Arginase

Correct answer: 1. Glutaminase